PML is caused by -
1. CMV
2. Papova virus
3. HIV
4. Polio virus

Correct answer: 2. Papova virus

Explanation: polyoma virus(belongs to papova viruses) causesPML REF:ANATHANARAYANAN MICROBIOLOGY NINTH EDITION PAGE.554